Acute flaccid complete paralysis with areflexia and loss of perianal reflexes, below the level of spinal cord injury is due to
1. Denervation
2. LMN Palsy
3. Spinal shock
4. UMN Palsy

Correct answer: 3. Spinal shock